"Apple jelly nodules on diascopy are seen in"
1. Lichen schafuloceum
2. Lupus vulgaris
3. Psoriasis vulgorir
4. Scrofuloderma

Correct answer: 2. Lupus vulgaris

Explanation: It is the most form of cutaneous TB characterized by chronic,progressive,itch,annulor skin lesions with cetrol scarring,dioscopy(pressing with glass slide) reveals "Apple jelly nodules"